"Hour-glass" shape of the chest and "tri-radiate pelvis" are seen radiologically in -
1. Thyrotoxicosis
2. Myxedema
3. Osteomalacia
4. Hyperthyroidism

Correct answer: 3. Osteomalacia

Explanation: Answer- C. Osteomalacia Acetabuli protrusioLooser's zone (pseudofracture)Decreased bone densityTriadiate pelvis (females)